Under the National Maternity Benefit scheme, what is the financial assistance given per birth for the first two births to all pregnant women who attain 19 years of age and belong to BPL households ?
1. Rs. 500
2. Rs. 1,000
3. Rs. 1,500
4. Rs. 2,000

Correct answer: 1. Rs. 500

Explanation: Ans. is 'a' i.e., Rs. 500